Which one of the following hepatic lesions can be diagnosed- with high accuracy by using nuclear imaging -
1. Hepatocellular Carcinoma
2. Hepatic Adenoma
3. Focal Nodular Hyperplasia
4. Cholangiocarcinoma

Correct answer: 3. Focal Nodular Hyperplasia